Submucosal plexus is -
1. Myenteric plexus
2. Auerbach's plexus
3. Meissner's plexus
4. Tympanic plexus

Correct answer: 3. Meissner's plexus

Explanation: Ans. is 'c' i.e., Meissner's plexusInnervation of GITo The gastrointestinal tract has a nervous system all its own called the enteric nervous system. It lies entirely in the wall of the gut, beginning in the esophagus and extending all the way to the anus. The enteric nervous system is composed mainly of two plexus : -i) Myenteric plexus or Auerbach's plexusIt is an outer plexus lying between the longitudinal and circular muscle layer. The myenteric plexus controls mainly gastrointestinal motility, therefore, peristalsis requires an active myenteric plexus.ii) Meissner's plexus or submucosal plexusIt is an inner plexus that lies in the submucosa. The submucosal plexus controls mainly gastrointestinal secretion and local blood flow.o Extrinsic nerves (Parasympathetic and sympathetic) are connected to both myenteric and submucosal plexuses. The enteric nervous system can function independently of these extrinsic nerves and these extrinsic nerves only modify the activity of the enteric nervous system,\o Therefore, peristalsis is present even if the intestine is deprived of extrinsic innervation.o Parasympathetic stimulation enhances GI motility and secretion whereas sympathetic stimulation inhibits motility and secretions.